A deterministic effect
1. Has a threshold in dose but the severity of the effect is otherwise dose-independent
2. Has a threshold in dose and the severity of the effect increases with dose
3. Has no threshold in dose and the severity of the effect is a constant function of dose
4. Has no threshold in dose and the severity of the effect increases with dose

Correct answer: 2. Has a threshold in dose and the severity of the effect increases with dose

Explanation: Deterministic effect: severity increases with dose; practical threshold; the probability of occurrence increases with dose; e.g., cataract.Stochastic effect: severity independent of dose; probability of occurrence increases with dose; no threshold; e.g., cancerReference: Eric J Hall Textbook of Radiobiology for Radiologist; 5th edition